Bilateral Rinne test +ve and Weber test lateralized to right with a shortened Schwabach test on left side suggests ?
1. Left middle ear pathology
2. Right middle ear pathology
3. Left inner ear pathology
4. Right inner ear pathology

Correct answer: 3. Left inner ear pathology

Explanation: Ans. is 'c' i.e., Left inner ear pathology